Rossette shaped arrangement of Cells are seen in:
1. Thecoma ovary
2. Ependymoma
3. Neurofibroma
4. Lymphoma

Correct answer: 2. Ependymoma

Explanation: Ependymoma